Alveoli are kept dry because of
1. Surfactants
2. Glycorprotiens
3. Buffers Bohr's
4. Effect

Correct answer: 1. Surfactants

Explanation: Pulmonary surfactant is a mixture of lipids and proteins which is secreted into the alveolar space by epithelial type II cells. The main function of surfactant is to lower the surface tension at the air/liquid interface within the alveoli of the lung. Ref: guyton and hall textbook of medical physiology 12 edition page number: 317,318,319